Which of the following drug is contraindicated in case of bilateral renal artery stenosis
1. Hydralazine
2. Enalapril
3. Methyldopa
4. Dopamine

Correct answer: 2. Enalapril

Explanation: Enalaparil is a ACE inhibitor (Angiotensin converting enzyme inhibitor). All ACE inhibitors lead to decrease in GFR. Hence, they are contraindicated in Bilateral renal artery stenosis to prevent further decrease in GFR.